Which sequence of MRI is used to detect microhemorrhages?
1. T1WI
2. T2WI
3. SWI
4. DWI

Correct answer: 3. SWI

Explanation: SWI (Susceptibility-Weighted Imaging ) is a relatively new full-velocity compensated high-resolution 3-dimensional gradient echo sequence that accurately detects small hemorrhage (microhemorrhage) and calcification by exaggerating susceptibility signal intensity, which is more sensitive than T2 gradient echo.